Highest pregnancy rate is associated with
1. Lippies loop IUD
2. Copper T IUD
3. Progestatsert IUD
4. LNG - IUD

Correct answer: 1. Lippies loop IUD